Dopamine given in acute CHF DOES NOT act on which of the following receptors?
1. Receptors present on renal blood vessels
2. D1 receptors
3. Beta 1 receptors
4. Alpha 1 receptors

Correct answer: 4. Alpha 1 receptors

Explanation: Ans. (D) Alpha 1 receptors(Ref: Katzung 13th/142, 144)Dopamine is used in CHF for its stimulatory effects on beta 1 receptors. It has dose dependent effects as followsReceptor stimulatedActionDose requiredD1Renal vasodilation1-2 mg/kg/minb1 Cardiac stimulation2-10 mg/kg/mina1 Vasoconstriction> 10 mg/kg/minTherefore, in CHF, it is used at a dose of 2-10 meg/kg/min. Thus, dopamine stimulates D1 and beta 1 receptors but not alpha 1 receptors.